Which of the following structures is not seen on bronchoscopy -
1. Trachea
2. Vocal cords
3. Subcarinal lymph nodes
4. First segmental division of bronchi

Correct answer: 3. Subcarinal lymph nodes